False about sjogren's syndrome
1. Kerato conjunctivitis sicca
2. Periductal and Perivascular lymphocytic infilteration
3. Parotid gland biopsy preferred
4. MALToma is most common lymphoma

Correct answer: 3. Parotid gland biopsy preferred

Explanation: Biopsy from Lip is preferred.